Tyrosinase is
1. Oxidase
2. Transferase
3. Lyase
4. Isomerase

Correct answer: 1. Oxidase

Explanation: Tyrosinase is a copper-containing oxidase. It is the rate-limiting enzyme for controlling the production of melanin. Ref: Biochemistry by U. Satyanarayana 3rd edition Pgno : 348